In a class II mesio occlusal inlay gingival bevel is at
1. 30-40
2. 45-60
3. 60-80
4. no fixed angulation

Correct answer: 1. 30-40